About posterior cruciate ligament - the true statement is ?
1. Attached to the lateral femoral condyle
2. Intrasynovial
3. Prevents posterior dislocation of tibia
4. Relaxed in full flexion

Correct answer: 3. Prevents posterior dislocation of tibia

Explanation: Posterior cruciate ligament prevents posterior dislocation of tibia. Posterior displacement is prevented by anterolateral bundle during knee flexion and by the posteromedial bundle during knee extension.